Which of the following is rate limiting enzyme of fatty acid synthesis
1. Acetyl CoA carboxylase
2. Carnitine acyltransferase I
3. HMG CoA Synthase
4. HMG CoA reductase

Correct answer: 1. Acetyl CoA carboxylase

Explanation: Acetyl CoA Carboxylase is the rate limiting enzyme.

It is activated by Insulin, Citrate.
Inhibited by Glucagon, Palmitoyl CoA.
It converts acetyl CoA to Malonyl CoA.
Carnitine acyltransferase I is the rate limiting enzyme for fatty acid oxidation.
HMG CoA synthase is RLE for Ketone body synthesis.
HMG CoA reductase is RLE for Cholesterol synthesis.